Color change in a process indicator strip indicates
1. verification of sterilization.
2. verification of completed sterilization cycle.
3. a change in pH.
4. a need to reprocess.

Correct answer: 2. verification of completed sterilization cycle.